Regarding the synthesis of triacylglycerol in adipose tissue, all of the following are true except
1. Synthesis from Dihydroxyacetone phosphate
2. Enzyme Glycerol kinase plays an important role
3. Enzyme Glycerol 3 phosphate dehydrogenase plays an important role
4. Phosphatidate is hydrolyzed

Correct answer: 2. Enzyme Glycerol kinase plays an important role